Formication and delusion of persecution occurs together in:
1. LSD
2. Amphetamine
3. Canabis
4. Cocaine

Correct answer: 4. Cocaine

Explanation: Cocaine Formication is a form of tactile hallucination in which the patient feels that of insects are crawling on (or under) the skin. Delusion of persecution is false belief of being harassed or persecuted.